"Zoonotic" diseases are all except:
1. Tuberculosis
2. Q fever
3. Taeniasis
4. Rubella

Correct answer: 4. Rubella

Explanation: Rubella